Afferent of cremasteric reflex -
1. Femoral nerve
2. Ilio-femoral nerve
3. Subcostal nerve
4. Genitofemoral nerve

Correct answer: 4. Genitofemoral nerve

Explanation: Ans. is 'd' i.e., Genitofemoral nerve o Afferent of a cremasteric reflex - Femoral branch of genitofemoral nerveo Efferent of a cremasteric reflex - Genital branch of genitofemoral nerve.